Drug used to perform stress ECHO is:
1. Thallium
2. Dobutamine
3. Adrenaline
4. Adenosin

Correct answer: 2. Dobutamine

Explanation: Dobutamine causes an increase in the force of contraction of the heart without a significant increase in heart rate. It causes a dose-related increase in FOC and HR. It is useful in CCF, acute MI, or following cardiac surgery when there may be pump failure. Since it's action is similar to that produced after exercise so used in stress Echo. Adenosine depresses AV conduction, suppresses automaticity, dilates coronaries and is used in arrhythmia. It can be used for a stress test but it's disadvantage is it's duration of action of about 10-20 sec. Adrenaline causes an increase in HR, FOC, CO and conduction velocity. The work done by the heart and resultant O2 consumption is increased. From medical pharmacology Padmaja 4th edition page no 97,157